Which of the following is outside the purview of Transplantation of Human Organs Act?
1. Eyes
2. Eardrums
3. Ear bones
4. Bone marrow

Correct answer: 4. Bone marrow

Explanation: Ans. Bone marrow